Oral melonomas are much more aggressive than skin melanoma as it starts with:
1. Stage 2
2. Stage 3
3. Stage 4
4. Stage 5

Correct answer: 2. Stage 3